All are antiplatelet drugs except:
1. Clopidogrel
2. Abciximab
3. Ticlopidine
4. Aprotinin

Correct answer: 4. Aprotinin

Explanation: Aprotinin is a drug that inhibits the initiation of clot formation and fibrinolysis. All others are antiplatlet drugs. From medical pharmacology padmaja 4th edition Page no 343